Local anesthetics act by :
1. Affecting at the spinal level
2. Affecting the Na+ channels
3. Affecting the K+channels
4. Blocking axonal transport

Correct answer: 2. Affecting the Na+ channels